All of the following statements regarding `prevalence' are true except -
1. It is rate
2. It is ratio
3. Duration of disease effects 'prevalence'
4. None

Correct answer: 1. It is rate

Explanation: Ans. is 'a' i.e., It is rate Prevalence is a proportion o Most commonly used measure of prevalence is point prevalence. No. of all current cases (old & New) Point prevalence -________________________________ x 100 Estimated population at the same time o It has following features : ? i) Numerator (no. of all cases) is part of denominator (total population, including cases). ii) Time interval is not specified iii) Multiplier is 100. o All are features of proportion (see above explantion). About option 'b' o Option b is partially correct, because proportion is a specific type of ratio. Also know o Read following statements of Park ? "CFR is simply the ratio of deaths to cases" - Park "Although referred to as a rate, prevalence rate is really a ratio" - Park o According to Park, both CFR and prevalence are ratio. o These statements are partially correct because CFR and prevalence are proportion and proportion is a specific type of ratio. o So, keep following points about CFR & Prevalence in your mind. i) CFR and prevalence are proportion. ii) Numerator is a part of denominator. iii) Time period is not specified. iv) Multiplier is 100 v) if none of the above 4 are provided in options and ratio is there amongst the options, then ratio will be the best answer.